Which of the following cannot be done by 3 years old child ?
1. Draw a triangle
2. Draw a circle
3. Can arrange 9 cubes
4. Can go up and down

Correct answer: 1. Draw a triangle

Explanation: Triangle drawn by the age of 5 years Circle drawn by the age of 3 years Arrange a tower of 9 blocks by 3 yrs(Mnemonic:3yrs=36 months=3+6=9blocks ) These are fine motor skills of a child Ref : OP GHAI - ESSENTIAL PEDIATRICS - 8 TH edition .page no .50